Horizontal ligature mark in the neck is seen in :
1. Throttling
2. Hanging
3. Strangulation by ligature
4. Chocking

Correct answer: 3. Strangulation by ligature

Explanation: C i.e. Strangulation Horizontal (transverse) complete ligature mark with maximum (well marked) external signs of asphyxia such as congestion, cynosis & petechiae on face along with extensive bruising of neck muscle and ecchymosis of sub cutaneous tissueQ is characteristic of strangulation.